BRCA-1 gene lies on Chromosome-
1. 17
2. 18
3. 20
4. 21

Correct answer: 1. 17

Explanation: Harshmohan textbook of pathology 7th edition. BRCA1 gene located on chromosome no 17 , a DNA repair gene is implicated in both breast and ovarian cancer in inherited cases. .